Which of the following is luminous?
1. Porphyrin
2. Zymogen
3. Chromatin
4. Albumin

Correct answer: 1. Porphyrin

Explanation: Porphyrins are colored and fluorescent wherase porphyrinogens are colorless.- When porphyrins dissolved in strong mineral acids or in organic solvents are illuminated by ultraviolet light, they emit a strong red fluorescenceQ.- The double bonds joining the pyrrole rings in porphyrin are responsible for characteristic absorption & fluorosence.- Soret band: - The sharp absorption band near 400nm. shown by porphyrin solution (in 5% HC1)- Is characteristic of all porphyrins regardless of the side chain present.